SLE like reaction is caused by
1. Hydralazine
2. Rifampicin
3. Paracetamol
4. Furosemide

Correct answer: 1. Hydralazine

Explanation: SLE like syndrome is caused due to S-SULPHONAMIDES H-HYDRALAZINE I-ISONIAZIDE P-PROCAINAMIDE Ref-KDT 7/e p66